Which of the following is characterized by increased LDH, fructokinase and serum transaminase?
1. Angina pectoris
2. Pulmonary embolism
3. Myocardial infarction
4. Atrial tachycardia

Correct answer: 3. Myocardial infarction